Role of selenocystein is important in ?
1. Hydroxylation of dopamine
2. Oxidation of drugs
3. Antioxidant mechanism
4. None of the above

Correct answer: 3. Antioxidant mechanism

Explanation: Ans. is 'c' i.e., Antioxidant mechanism